Which of the following is not true about the autistic specific disorder –
1. Impaired communication
2. Impaired imagination
3. Language developmental delay
4. Vision problems

Correct answer: 4. Vision problems

Explanation: Autism is characterized by Impaired social interaction, impaired communication,,and restricted repetitive & stereotyped pattern of behavior.
Restricted repetitive stereotypes pattern of behavior is due to impaired imagination.
So, Diagnostic triad of features is : -


Impaired social interaction
Impaired communication
Impaired imagination


Language development is often quite delayed.